During normal conversation sound heard at 1 meter distance is -
1. 80 dB
2. 60 dB
3. 90 dB
4. 120 dB

Correct answer: 2. 60 dB

Explanation: Whisper - 30 dB
Normal conversation - 60 dB
Shout - 90 dB
Discomfort of the ear - 120 dB
Pain in the ear - 130 dB